Cervix carcinoma arises from:
1. Squamocolumnar junction
2. Isthmus
3. Cervical lip
4. Internal os

Correct answer: 1. Squamocolumnar junction

Explanation: Note:
• M/C site for carcinoma cervix = Squamo columnar junction
• M/C site for adenocarcinoma of cervix = Endocervix.